The new name for 'mental retardation' is:
1. Mental block
2. Intelligence deficit
3. Intellectual disability
4. Mental disability

Correct answer: 3. Intellectual disability

Explanation: The new name for 'mental retardation' is: Intellectual disability